A boy with undescended testis, your concern to ask for operation is due to –a) Cosmetic reasonsb) Infertilityc) Risk of malignancyd) Impotence
1. a
2. c
3. ac
4. bc

Correct answer: 4. bc

Explanation: Let's see both options one by one.
1. Infertility

Infertility is a complication of undescended testis.
After treatment for a unilateral undescended testis, 85% of patients are fertile.
Following bilateral aorchidopexy 50-65% of patients are fertile.

2. Malignancy

Risk of developing germ cell tumors in an undescended testis is 4 to 5 times higher than that in general population.
The most common tumor developing is seminoma.
Whether orchidopexy reduces the risk of developing cancer of the testis is controversial, but it is uncommon for the testicular tumor to occur after orchidopexy performed before the age of 2 years.

Note : If you will have to chose one option, go ahead with infertility.